KleihauerBetke test is used to detect
1. Ferning pattern in follicular phase
2. Cephalopelvic disproportion
3. Fetomaternal blood leak
4. Sperm-cervical mucus interaction

Correct answer: 3. Fetomaternal blood leak

Explanation: Ans. (c) Fetomaternal blood leak(Ref: Oski's Pediatrics: Principles & Practice, chapter 66; Dacie 11th/pg 307)Ring sideroblasts are not seen in sickle cell anemia, but in Sideroblastic AnemiaPeripheral smear finding in sickle cell anemia:Ansiopoikilocytosis, polychromasia, Increased Retie %Irreversibly sickle RBCs and target cells (increased after autosplenectomy).Howell-Jolly bodies due to asplenia. Q